Blood cells arise in bone marrow and are subject to
1. Irregular renewal
2. Regular renewal
3. Infrequent renewal
4. None of the above

Correct answer: 2. Regular renewal